If coefficient of correlation between height and weight is 2.6, TRUE is -
1. Positive correlation
2. No association
3. Negative correlation
4. Calculation of coeffecient is wrong

Correct answer: 4. Calculation of coeffecient is wrong

Explanation: Ans. is 'd' i.e., Calculation of coefficient is wrong o Coefficient of correlation lies between -1 and +1. It never occurs outside this range. So if the coefficient of correlation is 2.6 then there is some mistake in calculation.